All are alkylating agents, except ?
1. 5-FU
2. Melphalan
3. Cyclophosphamide
4. Chlorambucil

Correct answer: 1. 5-FU

Explanation: Ans. is 'a' i.e., 5 Fluorouracil